Posterolateral Anconeus triangle is formed by all, except
1. Head of the radius
2. Medical epicondyl
3. Lateral epicondyl
4. Olecrenon

Correct answer: 2. Medical epicondyl